Which of the types of asbestos is LEAST associated with mesothelioma ?
1. Chrysotile
2. Crocidolite
3. Amosite
4. Tremolite

Correct answer: 1. Chrysotile

Explanation: Ref:Textbook of pathology (Harsh mohan) 6th edition,page no.492 There are two major geometric forms of asbestos: Serpentine consisting of curly and flexible fibres. It includes the most common chemical form chrysotile (white asbestos) comprising more than 90% of commercially used asbestos.chrysolite is LEAST associated with mesothelioma Amphibole consists of straight, stiff and rigid fibres. It includes the less common chemical forms crocidolite (blue asbestos), amosite (brown asbestos), tremolite, anthophyllite and actinolyte. However, the group of amphibole, though less common, is more important since it is associated with induction of malignant pleural tumours, particularly in association with crocidolite. However, in view of long term harmful effects of asbestos exposure, it has been mostly replaced with synthetic mineral fibres such as fiberglass in developed countries since 1975 but it continues to be used in developing countries of the world.